Ayushman Bharat was started in the year
1. 2015
2. 2016
3. 2019
4. 2018

Correct answer: 4. 2018

Explanation: Ref: Park's Textbook of Preventive and Social Medicine 2th ed